Food causes reflex defecation-
1. Enterogastric reflex
2. Defecation reflex
3. Gastrocolic reflex
4. Rectoanal reflex

Correct answer: 3. Gastrocolic reflex

Explanation: Ans. is 'c' i.e., Gastrocolic reflex * From the cecum to the sigmoid colon mass movement (mass peristalsis or mass contraction) occurs. These movements usually occur only one to three times each day. A mass movement is a modified type of peristalsis.* Appearance of mass movements after a meal is facilitated by gastrocolic and duodenum reflexes. These reflexes result from the distension of the stomach and duodenum. The best example of gastrocolic reflex is seen in early infancy where defecation often follows a meal.